Which of the following is a low molecular weight heparin:
1. Hirudin
2. Enoxaparin
3. Tranexamic acid
4. Lepirudin

Correct answer: 2. Enoxaparin

Explanation: Ans. (b) Enoxaparin* Enoxaparin is a low molecular weight heparin.* It acts by inhibiting factor Xa.* LMWH usually doesn't need monitoring because of consistent bioavailability.* Drugs under LMWH:# Enoxaparin# Dalteparin# Tinzaparin# RabiparinAlso Know* Hirudin along with Lepirudin and Bivalirudin is an anticoagulant which is act by direct thrombin (factor IIa) inhibition.* Tranexamic acid is an anti-fibrinolytic agent.